Group A streptococcus causes all except
1. Scarlet fever
2. Erysipelas
3. Impetigo
4. Epidermolysis bullae

Correct answer: 4. Epidermolysis bullae

Explanation: GROUP A STREPTOCOCCUS CAUSES: Suppurative lesions: Respiratory infections: tonsillitis, pharyngitis Skin and soft tissue infections: erysipelas, impetigo Genital infections Other suppurative infections: abscesses internal organs such as brain, lungs, liver and kidneys and also septicemia and pyemia. 2.Non-suppurative post-streptococcal sequelae: Acute rheumatic fever Acute glomerulonephritis Scarlet fever is a type of acute pharyngitis with extensive erythematous rash, caused by S.pyogenes strains producing this toxin. Reference: Textbook of Microbiology; Anathanarayan and paniker's; 10th edition; Page no: 214, 215